A chronic alcoholic complains of congestion around the lateral canthus and burning sensation with discomfort of the eyes. Probable diagnosis?
1. Adenoviral conjunctivitis
2. Appolo Disease
3. Angular conjunctivitis
4. Trachoma

Correct answer: 3. Angular conjunctivitis

Explanation: Lateral canthus --> Angle of eye Angular Conjunctivitis:chronic conjunctivitis characterized by mild grade inflammation confined to the conjunctiva and lid margins near the angles (hence the name) associated with maceration of the surrounding skin. Moraxella Axenfield (MA) is the commonest causative organism.(Gram negative diplococci) MA bacilli are placed end to end, so the disease is also called 'diplobacillary conjunctivitis' Rarely, staphylococci may also cause angular conjunctivitis. Signs include Hyperaemia of bulbar conjunctiva near tlhe canthi. Hyperaemia of lid margins near the angles. Excoriation of the skin around the palpebral angles. DIY ,Foamy mucopurulent discharge at the angles is usually present. Frequent blinking. Source of infection: Nasal tract of healthy persons Often present in the nasal discharge in cases of angularconjunctivitis. treatment-Tetracycline ointment 2-3 times/day x 10-14 days OTHER OPTIONS Adenoviral conjunctivitis usually occurs in epidemics and thus ruled out Acute hemorrhagic conjunctivitis - characterized by multiple conjunctiva hemorrhages, conjunctival hyperaemia and mild follicular hyperplasia-caused due to enterovirus 70. Trachoma is characterised by lacrimation , scanty mucoid discharge and foreign body sensation with other characteristic signs.